Struma-lymphomatosa term is used for:
1. De-Quervain thyroiditis
2. Hashimoto's thyroiditis
3. Reidle's thyroiditis
4. Suppurative thyroiditis

Correct answer: 2. Hashimoto's thyroiditis

Explanation: (Hashimoto's thyroiditis): Ref: 957-LB, 2117-H (799-B &L 25th)Hashimoto's Thyroiditis (Struma-lymphomatosa or diffuse lymphocytic thyroiditis, goitrous autoimmune thyroiditis, autoimmune chronic lymphocytic)* The most common clinically apparent cause of chronic thyroiditis is hashimoto's thyroiditis, an auto immune disorder that often presents as a firm or hard goiter of variable size.Riedel's thyroiditis (Invasive fibrous thyroiditis, Riedel's struma, Woody thyroiditis, ligneous thyroiditis)* Rare insidious onset, painless goiter with local symptoms due to compression of the esophagus, trachea, neck veins or recurrent laryngeal nerves.* Thyroid dysfunction is uncommon*** There is an association between Riedel's thyroiditis and idiopathic fibrosis at other sites (retroperitoneum, mediastinum, biliary tree, lung and orbit) (2117-H)